Mark the false statement regarding hurthle cell carcinoma :
1. It is the variant of papillary thyroid cancer
2. Arises from the oxyphilic cells of the thyroid
3. It can't be diagnosed by FNAC
4. Do central neck dissection prophylactically

Correct answer: 1. It is the variant of papillary thyroid cancer

Explanation: Hurthle cell carcinoma =Occasional tumors are dominated by cells with abundant granular, eosinophilic cytoplasm- Hurthle cells =Oncocytic variant of follicular carcinoma. =Arises from the oxyphilic cells of the thyroid =It can't be diagnosed by FNAC =Do central neck dissection prophylactically Surgical management Areas involved by cancer Surgery Unilateral Hurthle cell adenoma Hemithyroidectomy Bilateral without level VI LNs involvement Total thyroidectomy +Central neck dissection(CND) (prophylactic) Hurthle cell carcinoma with level VI LNs involved Total thyroidectomy + Central neck dissection(CND) (Therapeutic) Hurthle cell carcinoma with other LNs involved Total thyroidectomy + Modified radical neck dissection(MRND)